A girl child is suffering from varicella. And child's aunt is pregnant. When is it earliest that the child can meet her aunt?
1. When the lesions have crusted
2. Immediately
3. Anytime as the child is aunt's favorite
4. After the delivery of the baby

Correct answer: 1. When the lesions have crusted

Explanation: a. When the lesions have crusted(Ref: Nelson's 20/e p 1579-1585, Ghai 8/e p 214-215, CDC website)The period of communicability of varicella begins 1-2 days before the onset of rash and ends when all lesions are crusted, typically 4-7 days after onset of rash in immunocompetent people, longer in immunocompromised peoplePeople with varicella should be isolated until the lesions crust over.